Altered sensation over the area of the great saphenous vein in the leg is seen due to an injury to which of the following nerves?
1. Femoral
2. Tibial
3. Sural
4. Fibular

Correct answer: 1. Femoral

Explanation: Great saphenous vein on its course is accompanied by saphenous nerve which is a branch of femoral nerve.